Socially acquired learned behaviour is?
1. Custom
2. Culture
3. Habbit
4. Attitude

Correct answer: 2. Culture

Explanation: ANSWER: (B) CultureREF: Park 20th ed page 584"Culture is defined as learned behaviour which has been socially acquired"